Insulin resistance state causing hyperglycemia is present in -
1. Acromegaly
2. Osteomalacia
3. Liver cellcarcinoma
4. Somatostatinoma

Correct answer: 1. Acromegaly

Explanation: Ans. is 'a' i.e., Acromegaly o Endocrinopathies associated with hvperglvcia and insulin resistance state are:# Acromegaly# Cushing syndrome# Hyperthyroidism# Pheochromocytoma# Glucagonoma